In acute pulmonary embolism, the most frequent ECG finding is :
1. S1Q3T3 pattern
2. P. pulmonale
3. Sinus tachycardia
4. Right axis deviation

Correct answer: 3. Sinus tachycardia

Explanation: Answer is C (Sinus Tachycardia ) Sinus tachycardia is the commonest ECG abnormality in pulmonary embolism- OHCM 5th / 88 Classic Abnormalities on ECG in pulmonary Embolism Sinus Tachycardia (Commonest : OHCM) Right ventricular strain pattern (T wave inversion in leads VI to V4 perhaps most frequent - Harrison) SI QIII TIII Pattern :(Classic pattern but rare (OHCM)) Deeps S waves in lead I Q wave Inverted T wave in lead Ill New onset Atrial Fibrillation / Atrial Flutter. Right Axis Deviation / RBBB.